Clouding of Consiousness is seen in:
1. Dementia
2. Delirium
3. Delusion
4. Hallucination

Correct answer: 2. Delirium

Explanation: Delirium